Developmental depressions on both mesial and distal sides of roots are seen in:
1. Mandibular central incisor
2. Maxillary canines
3. Mesial root of mandibular 1st molar
4. All of the above

Correct answer: 4. All of the above

Explanation: Deep concavities on distal surface are present in – Maxillary 1st premolar
Deep concavities on distal surface are present in – Maxillary 1st molar
Developmental depressions on both mesial and distal sides of roots are seen in – Mandibular central incisors, upper canines, mesial root of mandibular 1st molar.